Sympathetic stimulation causes all of the following except :
1. Increase in heart rate
2. Increase in blood pressure
3. Increase in total peripheral resistance
4. Increase in venous capacitance

Correct answer: 4. Increase in venous capacitance

Explanation: D i.e. Increase in venous capacitance